Which of the following is the least common possibility about Angiodysplasia of colon?
1. Involvement of cecum
2. Involvement of rectum in 50% of cases
3. Affecting age group>40 years
4. Cause of troublesome lower GI haemorrhage

Correct answer: 2. Involvement of rectum in 50% of cases

Explanation: Vascular ectasia( Angiodysplasia) MC Vascular lesion found in the colon: Vascular ectasia MC cause of recurrent lower Intestinal bleeding after 60 years of age : Vascular ectasia Arise from age- related degeneration of previously normal colonic blood vessels. Acquired condition Almost always occur in the caecum or the proximal ascending colon Usually multiple, are < 5mm in diameter Rarely identified with gross inspection or routine pathologic examination Diagnosed with colonoscopy or angiography Angiography : Slow emptying of vein & dilation of sub mucosal vessels